Which of the following does not cause bradycardia
1. Propranolol
2. Hydralazine
3. Clonidine
4. Reserpine

Correct answer: 2. Hydralazine

Explanation: Ans. is 'b' i.e., Hydralazine o Hydralazine causes reflex tachycardia. o Propranolol, clonidine and reserpine are sympatholytic drugs cause bradycardia.